In spinal anesthesia is the drug is deposited between
1. Dura and Arachnoid
2. Pia and Arachnoid
3. Dora and vertebrae
4. Into the cord substance

Correct answer: 2. Pia and Arachnoid

Explanation: Refer Katzung 10/e p 419. In spinal anesthesia ,drug is deposited in the sub Arachnoid space.,,whereas in epidural anesthesia, it is given outside the duramater